Which of the following areas of brain is most resistant to Neurofibrillary tangles in Alzheimer's disease
1. Entorhinal cortex
2. Hippocampus /Temporal lobe
3. Lateral Geniculate Body
4. Visual Association area

Correct answer: 3. Lateral Geniculate Body

Explanation: Answer is C (Lateral Geniculate Body):The topographical and neuroanatomical distribution of Neurofibrillary tangles and Neuritic Plaques in the Cerebral cortex of patients with Alzheimer's Disease' - Cerebral Cortex (1991): (1): 103-116`Lateral geniculate body' is the least commonly affected area amongst the options provided.Weurofibrillaiy tangles are region specific occuring predominantly in the Hippocampus, Entorhinal cortex and association areas of the Neocortex 'The Neuropathology of Dementia' (Cambridge) 1997/7`Not even a single neuron with Neurofibrillary Tangles (NFT) was seen in the Lateral Geniculate Bodies' -- Distribution of Alzheimer's Neurofibrillary tangles (Taken from 'Alzheimer's Disease' by George Parry (2006)/55)Neuro fibrillary Tangles (NFT): Density distribution in Alzheimer's diseaseEntorhinal cortex -- Hippocampus -- Amygdala interconnections (most vulnerable)Limbic and Temporal cortical areas (next most severely involved)Association areas of the neocortex Topographical Distribution of NFTs in Alzheimer's disease`The spatiotemporal pattern of progression of NFTs in Alzheimer's disease is steriotypical and predictable. Briefly, the neurofibrillary degeneration starts in the aliocortex of medial temporal lobe (entorhinal cortex and hippocampus) and spreads to the associative neocortex, relatively sparing the primary sensory and primary motor and visual cortex.'Enterohinal cortex, Hippocampus and Associative areas of neocortex are primarily involved.Taken from 'Neuropathological Alterations in Alzheimer's Disease': Perspectives in Medicine 2011 Braak and Braak distinguished six stages to explain topographical distribution and progression of NFT.Stage IThe first NFTs consistently appear in the Transentorhinal (perihilar) region along with Entorhinal cortex properStage IINFTs appear in the CA I region of the HippocampusStage IIINFTs appear in the Limbic structures such as the subiculum of H ppocampal formationStage IVNFTs appear in the Amygdala, Thalamus & ClaustrumStage VNFTs appear in all isocortical areas with the affection of Associative areasStage VINFTs appear in primary sensory, motor and visual areas (Primary sensory, motor and visual area are considered most resistant)These six stages can be summarized into three for the purpose of understanding, namely: Entorhinal, Limbic and isocortical